According to WHO leprosy is a public health problem if prevalence is more than
1. 0.10%
2. 0.01%
3. 0.50%
4. 1%

Correct answer: 2. 0.01%

Explanation: At the end 2000, leprosy was a public health problem in 10 countries (prevalence rate > 1/10,000), mainly in Africa, Asia and Latin America. Thus to call it a public health problem prevalence per 10,000 should be more than 1 and per 100 should be > 0.01.